Type of collagen in brain
1. Type IV
2. Type VII
3. Type XXV
4. Type XXVI

Correct answer: 3. Type XXV

Explanation: Type XXV is present in the brain Reference: Harper; 30th edition; Page no: 628 Table no: 50-1